In normal delivery, breast feeding should be started
1. 1/2 hour after delivery
2. 2 hour after delivery
3. 4 hour after literary
4. 6 hour after delivery

Correct answer: 1. 1/2 hour after delivery

Explanation: Breast feeding should be iniated within 30 min. of a normal vaginal delivery!.
Breast feeding should be initiated within 4 hrs of delivery by caesarian section.